Watson Jones operation is done for:
1. Polio
2. Muscle paralysis
3. Neglected clubfoot
4. Chronic ankle instability.

Correct answer: 4. Chronic ankle instability.

Explanation: D. i.e. Chronic ankle instability Smith-Peterson anterolateral approach; Watson Jones, Harding's, Harris lateral approach; Moore's posterior approach of hip joint are used for hip surgeries. Chronic ankle instability can be satisfactorily treated by Was ton- Jones operationQ. Watson- Jones is also a lateral approach to the hip joint, which can be used for hip replacement (although rarely as more commonly used approaches are Moore's posterior and Hardinge's antero-lateral approach.